Bactericidal inhibitors of protein synthesis are :
1. Tetracyclines
2. Aminoglycosides
3. Macrolides
4. Lincosamides

Correct answer: 2. Aminoglycosides